Which of the following nerve is first affected in berry aneurysm:
1. 3 rd nerve
2. 4th nerve
3. 5th nerve
4. 6th nerve

Correct answer: 1. 3 rd nerve

Explanation: Ans.(a) 3rd nerveRef: Harrison 19th ed. /1784-85* Most common cranial nerve affected in unruptured berry aneurysm is the 3rd cranial nerve which will present as ipsilateral ptosis, diplopia and strabismus.